In Glycolysis which of the ion is most important?
1. Zn
2. Mg
3. Cu
4. Ca

Correct answer: 2. Mg

Explanation: Mg is most important for kinases. There are four kinases hexokinase, phospho fructo kinase, phospho glycerate kinase pyruvate kinase But pyruvate kinase requires K>Mg